Karyotype of klienfelter syndrome is?
1. 47XXY
2. 45XO
3. 46XXY
4. 45XXX

Correct answer: 1. 47XXY

Explanation: Ans. is 'a' i.e., 47XXYKlinefelter syndromeKlinefelter syndrome is the most common chromosomal disorder associated with male hypogonadism and infertility.It is defined classically by a 47, XXY karyotype with variants demonstrating additional X and Y chromosomes.(Other variants can have 48 XXXY, rarely 49 XXXXY or mosaics can be there with some cells containing normal 46,XY and others 47, XXY).Classically, it results from meiotic non-dysjunctionof sex chromosomes (40% during spermatogenesis and 60% during oogenesis). Mostly, non-dysjunctionoccur during lstmeiotic division.